Plasma cells are derived from
1. T cells
2. B cells
3. Macrophages
4. Neutrophils

Correct answer: 2. B cells

Explanation: Option 1, 2, 3, 4 Plasma cells: Plasma cells originate from terminally differentiated B cells. Plasma cells are oval or egg-shaped structures characterizedby a stellate (star-like pattern) nucleus, nonstaining Golgi, andbasophilic cytoplasm. The main function of the plasma cells is to produce and secrete all the classes of immunoglobulins into the fluidsaround the cells. They secrete thousands of antibody molecules per second, which are specific for the epitope of the antigen for a fewdays and then die. They divide very poorly, if at all, and are usually found in the bone marrow and in the perimucosal lymphoid tissues. They have a short lifespan of 30 days during which they produce large quantities of immunoglobulins.